Myofibroblast is seen in -
1. Normal connective tissue
2. Muscle septa
3. Wound margin
4. Bronchus

Correct answer: 3. Wound margin

Explanation: Ans. is 'c' i.e., Wound margin